A patient came with diplopia when he sees up and out, the defective extraocular muscle includes
1. Right Superior rectus
2. Right Superior oblique
3. Left Superior oblique
4. Right Inferior rectus

Correct answer: 1. Right Superior rectus

Explanation: (A) Right Superior rectus # Diplopia: Double vision occurs when the conjugate movements of the eyes are altered so that images do not fall on corresponding areas of the two retinae.> The result is that the brain interprets two images that are not exactly superimposed.> If only one eye is affected, it will usually show a motion abnormality in the field of the involved muscle.PARALYSIS OF INDIVIDUAL EYE MUSCLESNerveMuscleDiplopiaDirection when looking Deviation of Eyeball IIIInferior obliqueDownward and outwardUpward and inwardIIIInferior rectusUpward and inwardDownward and outwardVILateral rectusInward (internal squint)Toward the templeIIIMedial rectusOutward (external squint)Toward the noseIVSuperior obliqueUpward and outwardDownward and inwardIIISuperior rectusDownward and inwardUpward and outward